Catalase test is used to differentiate -
1. Staphylococcus aureus from staphylococcus epidermidis
2. Staphylococci from streptococci
3. Streptococcus pyogenes from other streptococci
4. None of the above

Correct answer: 2. Staphylococci from streptococci

Explanation: Ans. is 'b' i.e., Staphylococci from streptococci